An 18 year old boy comes to the eye casuality with history of injury with a tennis ball. On examination there is no perforation but there is hyphaema. The most likely source of the blood is
1. Iris vessels.
2. Circulus iridis major.
3. Circulus iridis minor
4. Short posterior ciliary vessels.

Correct answer: 2. Circulus iridis major.

Explanation: B i.e. Circulus iridis major A tear at the anterior aspect of the ciliary body is the most common site of bleeding (70%) in contusion injuries of eye. The major sources of bleeding are - circularis iridis major Q (due to tear between longitudinal & circular fibres of ciliary muscle) > circularis iridis minor (in sphincter tear) > radial vessels (associated with iridodialysis) Circularis iridis major is situated along the ciliary margin of iris and circularis iridis minor along the pupillary margin of iris.